Head of each enamel rod is formed by
1. 1 ameloblast
2. 2 ameloblast
3. 3 ameloblast
4. 4 ameloblast

Correct answer: 1. 1 ameloblast

Explanation: The bulk of the “head” of each rod is formed by one ameloblast, whereas three others contribute components to the “tail” of each rod. According to this interpretation, each rod is formed by four ameloblasts, and each ameloblast contributes to four different rods.